Children are more susceptible than adults to the following action of atropine
1. Cycloplegic
2. Gastric antisecretory
3. Central excitant and hypehermic
4. Tachycardia

Correct answer: 3. Central excitant and hypehermic

Explanation: PHARMACOLOGICAL ACTIONS (Atropine as prototype) Body temperature:- Rise in body temperature occurs at higher doses. It is due to both inhibition of sweating as well as stimulation of temperature regulating centre in the hypothalamus. Children are highly susceptible to atropine fever. Ref:- kd tripathi; pg num:-115